All of the following drugs are Antiandorgens EXCEPT
1. Cemitidine
2. Cyproterone
3. Spironolactone
4. Cyproheptadine

Correct answer: 4. Cyproheptadine

Explanation: (D) Cyproheptadine # Impeded Androgens / Antiandrogens> Estrogens may be called antiandrogenic in a limited sense.> Some of their actions are opposite to that of testosterone.> Further, by inhibiting Gn secretion they decrease testosterone production.> Superactive GnRH agonists are the most potent inhibitors of gonadal function.> The antifungal drug ketoconazole decreases testosterone production.> Cemitidine and spironolactone have weak antiandrogenic action which manifests as side effects.> Progesterone has weak androgen receptor blocking action.> Some testosterone and progesterone derivatives act as partial agonists and antagonists at androgen receptor.